All of the following drugs are Class I anti-arrhythmic drugs EXCEPT:
1. Quinidine
2. Procainamide
3. Flecainide
4. Propranolol

Correct answer: 4. Propranolol